Percutaneous vertebroblasty is indicated in all except
1. Tuberculosis
2. Metastatis
3. Osteoporosis
4. Hemangioma

Correct answer: 1. Tuberculosis

Explanation: A i.e. Tuberculosis